Which of the following is not true regarding tetracycline?
1. It is not teratogenic
2. It can cause tooth discoloration
3. It can result in superinfection
4. It can lead to pseudomembranous colitis

Correct answer: 1. It is not teratogenic

Explanation: Tetracyclines are broad spectrum antibiotics Mechanism of action The tetracyclines arc primarily bacteriostatic; inhibit protein synthesis by binding to 305 ribosomes in susceptible organism. Subsequent to such binding, attachment of aminoacyl-t-RNA to the mRNA-ribosomc complex is interferred with As a result the peptide chain fails to grow. Tetracyclines have chelating property. Calcium-tetracycline chelate gets deposited in developing teeth and bone. Given from midpregnancy to 5 months of extrauterine life, the deciduous teeth are affected: brown discolouration, ill-formed teeth, more susceptible to caries. Tetracyclines given between 3 months and 6 years of age affect the crown of permanent anterior dentition. Repeated courses are more damaging. Given during late pregnancy or childhood, tetracyclines can cause temporary suppression of bone growth. The ultimate effect on stature is mostly insignificant, but deformities and reduction in height are a possibility with prolonged use. Tetracyclines should not be used during pregnancy, lactation and in children. Essentials of medical pharmacology K D Tripathi Sixth edition Pg no 710 to 714